Side effect of OC pills is
1. Dysmenorrhoea
2. Hyperprolactinemia
3. Carbohydrate intolerance
4. Endometriosis

Correct answer: 3. Carbohydrate intolerance

Explanation: Great deal of attention has been focused recently on the metabolic effects induced by the oral contraceptives It includes the ability to modify carbohydrate metabolism with the resultant elevation of blood glucose and plasma insulin, thereby causing carbohydrate intolerance Reference : Park's textbook of preventive and social medicine, 23rd edition, Page no: 502